What is the definitive finding of G6PD?
1. Bite cells
2. Intravascular hemolysis
3. Splenomegaly
4. Hemoglobinuria

Correct answer: 1. Bite cells

Explanation: a. Bite cells(Ref: Nelson's 20/e p 2335-2356, Ghai 8/e p 339)Bite cells are characteristic finding of G6PD deficiency while others can be seen in any intravascular hemolysis.